A 18 yrs old boy was palying football, when he suddenly twisted his knee on the ankle and he fell down. He got up after 10 minutes and again started playing, but next day his knee was swollen and he could not move it. The most probable cause is-:
1. Medial meniscus tear
2. Anterior cruciate ligament tear
3. Medical collateral ligament injury
4. Posterior cruciate ligament injury

Correct answer: 1. Medial meniscus tear

Explanation: A i.e. Medial meniscus tear In cruciate ligament injury the findings can be somewhate perverse i.e. with a complete tear the patients may have little or no pain, whereas with a partial tear the knee is painful. Swelling also is worse with partial tears, because haemorrhage remains confined with in the joint; with complete tears ruptured capsule permits leakage and diflusion. Partial tears permit no abnormal movement, but the attempt cause pain. Complete tears permit abnormal movement which sometimes is painless.